Most common cause of seizure in newborn is ?
1. Hypoxia induced ischemic encephalopathy
2. Hypocalcemia
3. Metabolic abnormality
4. Sepsis

Correct answer: 1. Hypoxia induced ischemic encephalopathy

Explanation: Ans. is 'a' i.e., Hypoxia induced ischemic encephalopathy DIFFERENTIAL DIAGNOSIS OF NEONATAL SEIZURES o Hypoxic ischemic encephalopathy --> Most common cause (60%). o Intracranial hemorrhage o Infection o Hypoglycemia o Hypocalcemia, Hypomagnesemia o Hyponatremia o Disorder of amino and organic acid metabolism, hyperammonemia o Pyridoxine deficiency o Developmental defects o Drug withdrawl o No cause found o Benign familial neonatal seizures